Elimination of leprosy is define as prevalence -
1. < 1 per 1000
2. < 1 per 10000
3. < 1 per 1 lakh
4. < 1 per 100

Correct answer: 2. < 1 per 10000

Explanation: Prevalence <1 per 10,000. Reference:Park's textbook of preventive and social medicine,K.Park,22nd edition,page no:288.